Which among the following sinus is affected in children most commonly:
1. Sphenoid
2. Ethmoid
3. Frontal
4. Maxillary

Correct answer: 2. Ethmoid

Explanation: Acute ethmoid sinusitis Aetiology Acute ethmoiditis is often associated with infection of other sinuses. Ethmoid sinuses are more often involved in infants and young children. (Ref: Diseases of ENT, PL Dhingra, 7th edition, of no. 216)